Leukocyte adhesion to endothelium is mediated by all except -
1. L selectin
2. E selectin
3. VCAM1
4. VCAM4

Correct answer: 4. VCAM4

Explanation: Ans. is 'd' i.e., VCAM 4 Endothelial Leukocyte adhesion molecules and their functionsEndothelial moleculeWBC receptorMajor roleP-selectinSialyl-Lewis NRollingE-se lectinSialyl-Lewis XRolling, adhesion to activated endotheliumICAM-ICD 11/CD lS(integrins)Adhesion, arrest, transmigrationVCAM-1VLA-4.LPAM-]AdhesionGtycam-1L-selectinLymphocytes homing to high endothelial venulesCD 31 (PEC AM)CD31WBC migration through endothelium